Drug not affecting GABAA receptor is?
1. Muscimol
2. Alcohol
3. Picrotoxin
4. Buspirone

Correct answer: 4. Buspirone

Explanation: Buspirone REF: KDT 6th ed p. 395 DRUGS AFFECTING THE GABAARECEPTOR GATED CHLORIDE CHANNEL GABA Endogenous agonist Muscimol Agonist at the receptor Bicuculline Competitive antagonist at GABAA receptors Picrotoxin Blocks chloride channel noncompetitively Barbiturate Agonist at allosteric site , prolong opening of chloride channel Alcohol , inhalational anesthetics, propofol Direct chloride channel opening Benzodiapines Agonist at allosteric BZP site , increase frequency of chloride channel opening Beta carboline Inverse agonist at BZP site Flumazenil Competitive antagonist at BZP site